Chromosome inversion is:
1. A portion of the chromosome is missing or deleted
2. A portion of the chromosome is duplicated, resulting in extragenetic material
3. A single chromosome undergoes breakage and rearranges within itself
4. A portion of one chromosome has been deleted from its normal place and inserted into another chromosome

Correct answer: 3. A single chromosome undergoes breakage and rearranges within itself

Explanation: Inversion: Occur when there are two interstitial of a single chromosome breaks in and the segment reunites & rearranged after a complete turnaround.
Option A - Deletion e.g. Wolf-Hirschhorn syndrome, Jacobsen syndrome, also called the terminal IIq deletion disorder.
Option B - Duplication - e.g. Charcot-Marie-Tooth disease type 1A
Option D - Insertion
Other structural disorders of chromosomes:
Rings:

A portion of a chromosome has broken off and formed a circle or ring.
This can happen with or without loss of genetic material.

Isochromosome:

Formed by the mirror image copy of a chromosome segment including the centromere.

Aneuploidy:

Numerical disorder of chromosomes.
Missing a chromosome from a pair is called monosomy and presence of more than two chromosomes of a pair (trisomy, tetrasomy, etc.)